Coarctation of aorta is most commonly associated with?
1. ASD
2. PDA
3. Bicuspid aortic valve
4. VSD

Correct answer: 3. Bicuspid aortic valve

Explanation: c. Bicuspid aortic valve(Ref: Nelson's 20/e p 2205, Ghai 8/e p 429-431)Coarctation of aorta is associated with a bicuspid aortic valve in more than 70% of patients